Vertical transmission rate in hepatitis C is
1. 5%
2. 10%
3. 25%
4. 50%

Correct answer: 1. 5%

Explanation: Vertical transmission refers to viral transmission from the mother to the infant during pregnancy, at the time of delivery, or during the first 28 days after birth. In most infants, HCV RNA levels only become detectable several weeks after birth, suggesting perinatal infection Approximately 5% of pregnant women with chronic HCV infection will transmit the virus to their infants Ref Harrison20th edition pg 980